Exchange of sodium for potassium in the distal convoluted tubule is regulated primarily by:
1. Angiotensin 1
2. Aldosterone
3. Antidiuretic hormone (ADH)
4. Androstenedione

Correct answer: 2. Aldosterone

Explanation: The distal convoluted tubule in the kidney cortex functions to reabsorb sodium and secrete potassium. This is regulated by the adrenal hormone aldosterone as stimulated by angiotensin II which will increase reabsorption of sodium and secrete potassium. The distal convoluted tubule also functions in the continuation of bicarbonate ion reabsorption with hydrogen ion secretion. The terminal portion of the distal convoluted tubule is sensitive to antidiuretic hormone from the neurohypophysis, which acts to increase the permeability to the tubule to water, resulting in concentrating the urine.